Lesion in inferior frontal gyrus causes:
1. Defect in articulation
2. Incomprehension of written language
3. Incomprehension of spoken language
4. Motor aphasia

Correct answer: 4. Motor aphasia

Explanation: Answer is D (Motor aphasia):